Storage form of free energy in the cell is:
1. NADH
2. ATP
3. G-6-Phosphate
4. Creatine phosphate

Correct answer: 2. ATP

Explanation: ATP is the storage form of free energy in most of the cells of the body. Creatine phosphate or Phospho-creatine is the immediate source of ATP in muscles for first 8-10 seconds. High energy compounds in biological systems are : ATP GTP UTP Creatine Phosphate Phosphoenol Pyruvate Coenzyme A 1,3-bisphospho glycerate Carbamoyl Phosphate